In fasted state gluconeogenesis is promoted by which enzyme?
1. Acetyl-CoA induced stimulation of Pyruvate Carboxylase
2. Citrate induced stimulation of Acetyl-CoA Decarboxylase
3. Fructose 2,6 bisphosphate induced stimulation of Phosphofructokinase-1
4. Stimulation of Pyruvate kinase by Fructose 1,6 Bisphosphate

Correct answer: 1. Acetyl-CoA induced stimulation of Pyruvate Carboxylase

Explanation: Ans. A. Acetyl CoA induced stimulation of Pyruvate Carboxylase(Ref. Harper 29/e page 190 Table 20-1, Harper 31/e page 175 Table 19.1)Regulation of Carbohydrate Metabolism (NB: This table is an important topic for all exams)EnzymeInducerRepressorActivatorInhibitorGlycogen synthaseInsulinGlucagonInsulin, glucose 6-phosphateGlucagonHexokinase Glucagon Glucose 6-phosphateGlucokinaseInsulinGlucagon Phospho-fructokinase-1InsulinGlucagonQ5'AMP, fructose 6-phosphate, fructose 2,6-bisphosphateQ, PiCitrate, ATP, glucagonPyruvate kinaseInsulinGlucagonQFructose 1,6-bisphosphate, insulinATP, Alanine, Glucagon, norepinephrinePyruvate dehydrogenaseInsulinGlucagonQCoA, NAD+, insulinQ, ADP, pyruvateAcetyl-CoAQ, NADH, ATP (fatty acids, ketone bodies) GluconeogenesisEnzymeInducerRepressorActivatorInhibitorPyruvate carboxylaseGlucocorticoids, Glucagon, EpinephrineInsulinAcetyl-CoAQADPPhosphoenolpyruvate carboxy kinaseGlucocorticoids, Glucagon, EpinephrineInsulin Glucose 6-phosphataseGlucocorticoids, Glucagon, EpinephrineInsulin